Direction of fusion of neural folds during formation of neural tube is:
1. Caudal
2. Cranial
3. Both of the above
4. None of the above

Correct answer: 3. Both of the above

Explanation: Gradually, the neural folds approach each other in the midline, where they fuse. Fusion begins in the cervical region (fifth somite) and proceeds cranially and caudally. As a result, the neural tube is formed. Ref: Langman's embryology 11th edition Chapter 6.